Which of the following causes malignant mesothelioma?
1. Smoking
2. Asbestosis
3. Silicosis
4. Pneumoconiosis

Correct answer: 2. Asbestosis

Explanation: Ans. (b) Asbestosis(Ref: Robbins 9th/pg 723-724)Malignant mesothelioma is associated with Asbestosis. Smoking does NOT increase the risk of malignat mesothelioma.